In pigmented basal cell carcinoma, treatment of choice is:
1. Chemotherapy
2. Radiotherapy
3. Cryosurgery
4. Excision

Correct answer: 4. Excision

Explanation: Treatment of Melanoma * Non-aggressive tumor on trunk or extremities : Excision or electrodissection & curettage * Large, aggressive , located at vital areas or recurrent : Moh's micrographic surgery